True about primary lymphedema:
a) Prevalence is 2%
b) Onset b/w 2-35 years indicates lymphedema tarda
c) Onset >35 yrs indicates praecox type 
d) Associated with Milroy's disease 
e) Lymphangiosarcoma may occur
1. abde
2. de
3. bde
4. bcde

Correct answer: 2. de

Explanation: "The primary lyrnphedemas are relatively uncommon, occurring in 1 of every 10,000 individuals"-Sabiston
"Lymphangiosarcoma is a rare tumor that develops as a complication of long-standing (usually more than 10 years) lymphedema."- Sabiston
"Cutaneous lymphangiosarcoma may develop in chronically lymphedematous extremities."- Devita 8/e Chapter 45